Delirium tremens is seen in
1. Alcohol withdrawal
2. Alcohol overdoses
3. Morphine poisoning
4. Atropine poisoning

Correct answer: 1. Alcohol withdrawal

Explanation: Delirium tremens Delirium tremens (DT) is the most severe alcohol withdrawal syndrome. It occurs usually within 2-4 days of complete or significant abstinence from heavy alcohol drinking in about 5% of patients, as compared to acute tremulousness which occurs in about 34% of patients. The course is short, with recovery occurring within 3-7 days. This is an acute organic brain syndrome (delirium) with characteristic features of: i. Clouding of consciousness with disorientation in time and place. ii. Poor attention span and distractibility. iii. Visual (and also auditory) hallucinations and illusions, which are often vivid and very frightening. Tactile hallucinations of insects crawling over the body may occur. iv. Marked autonomic disturbance with tachycardia, fever, hypertension, sweating and pupillary dilatation. v. Psychomotor agitation and ataxia. vi. Insomnia, with a reversal of sleep-wake pattern. vii. Dehydration with electrolyte imbalance. Ref: A Short Textbook of Psychiatry, Niraj Ahuja, 7th Edition, pg. no. 38